Complete H. Mole are
1. 2% cases may convert to carcinoma
2. Diploid
3. Increased I3-HCG
4. All

Correct answer: 4. All

Explanation: Ans. is a, b, and c i.e. Diploid; Increased 13-HCG; and 2% cases may convert to carcinoma Differences between complete and partial mo, Features Complete mole Partial mole Karyotype 46XX, (90deg/0) or 46XY (10deg/0) 69 XXX or 69XXY i.e. it is diploid i.e. it is triploid Pathology Embryo/fetus Absent Present Hydropic degeneration of villi Pronounced and diffuse Variable and focal Trophoblastic hyperplasia Diffuse Focal Fetal RBC Absent Present Scalloping of chorionic villi Absent Present Trophoblastic stromal inclusion Absent Present Clinical features Uterine size Usually more Less Theca lutein cysts Common Uncommon Medical complications Common Uncommon 13-HCG Very high Slight increase Persistent GTD 20% <5% Malignant potential High Low Complete moles have a potential for local invasion and dissemination after molar evacuation Local uterine invasion occurs in 15% cases. Metastasis occurs in 4% cases. Whereas in case of partial moles : persistent tumour is usually non metastatic and develops in 2-4% of patients. As far as choriocarcinoma is concerned its incidence following H.mole is between 2-10%. Also Know : * Risk of recurrence of H.mole in future pregnancy is 1-4%. Chances of fetal malformation are not increased following chemotherapy for H.mole.